A patient presents to a physician complaining of recurrent episodic diarrhea, triggered by eating too much or drinking alcohol. His wife states that "he turns as red as a beet, starts wheezing, and looks just ghastly" during these episodes. Chest x-ray demonstrates a lung mass. Which of the following would MOST likely be present on biopsy of the lesion?
1. Bronchioloalveolar carcinoma
2. Carcinoid tumor
3. Primary tuberculosis
4. Recurrent tuberculosis

Correct answer: 2. Carcinoid tumor

Explanation: The patient has carcinoid syndrome, in which vasoactive mediators secreted by carcinoid tumors (typically of the lung or small bowel) produce recurrent diarrhea, flushing, wheezing, and carcinoid heart disease. Although many substances may be produced by these tumors, serotonin is one of the more important mediators produced, probably accounting for the observed diarrhea.Bronchioloalveolar carcinomas are not particularly likely to secrete hormones.Primary and recurrent tuberculosis can be uncommonly associated with finger clubbing, or hypertrophic osteopathy, but not with carcinoid syndrome. Ref: Chandrasoma P., Taylor C.R. (1998). Chapter 41. The Intestines: III. Neoplasms. In P. Chandrasoma, C.R. Taylor (Eds), Concise Pathology, 3e.